How many lactiferous ducts open into nipple
1. 0-10
2. 15-20
3. 25-50
4. 50-75

Correct answer: 2. 15-20

Explanation: The gland consists of 15 to 20 lobes.Each lobe is a cluster of alveoli,and is drained by a lactiferous duct.The lactiferous ducts converge towards the nipple and open on it.Near it's termination each duct has a dilatation called a lactiferous sinus. Ref.B D Chaurasia's human anatomy.vol.1